A patient by name Mahesh whose age is 60 years presented with hypercellulor Bone marrow, Peripheral Blood smear shows pancytopenia and 15 % mycloblast cells. Most likely diagnosis is
1. Myelodysplastic syndrome
2. Blast Crisis in CML
3. AML
4. Polycythemia vera

Correct answer: 1. Myelodysplastic syndrome

Explanation: Hypercellulor Bone marrow
Peripheral Blood smear shows pancytopenia
15 % myeloblast cells are characteristically seen in MDS
It is common seen in elderly